The inhibitor of complex IV of electron transport chain is
1. Barbiturates
2. Animycin A
3. Hydrogen sulfide
4. Dimecaprol

Correct answer: 3. Hydrogen sulfide

Explanation: Complex IV inhibitors i. Carbon monoxide inhibits cellular respiration ii. Cyanide (CN-) iii. Azide (N3-) iv. Hydrogen sulphide (H2S)Ref: MN Chatterjea Textbook of Medical Biochemistry, 6th edition, page no: 234